A newborn baby presents with shock, hyperkalemia and hypoglycemia. What is the most likely diagnosis-
1. Septicemia
2. Inborn error of metabolism
3. Diabetes mellitus
4. Congenital adrenal hyperplasia

Correct answer: 4. Congenital adrenal hyperplasia

Explanation: Ans. is 'd' i.e., Congenital adrenal hyperplasia